GH secetion is inhibited by:
1. Bromocriptine
2. Hyperglycemia
3. Vigorous exercise
4. Deep sleep

Correct answer: 2. Hyperglycemia

Explanation: Ans. B: Hyperglycemia Inhibitors of GH secretion include Somatostatin from the periventricular nucleus Circulating concentrations of GH and IGF-1 (negative feedback on the pituitary and hypothalamus Hyperglycemia Glucocorticoids Dihydrotestosterone Stimulators of GH secretion include Peptide hormones - Growth hormone releasing hormone (GHRH) through binding to the growth hormone releasing hormone receptor (GHRHR) - GF.relin through binding to growth hormone secretagogue receptors (GHSR) Sex horn:cnes - Inc-teased androgen secretion during puberty (in males from testis and in females from adrenal cortex) - Estrogen - Clonidine and L-DOPA by stimulating GHRH release Hypoglycaemia, arginine and propranolol by inhibiting somatostatin release Deep sleep Fasting Vigorous exercise Bromocriptine increase GH release in normal individuals, but decreases the same from pituitary tumours that cause acromegaly.